Immunoglobulins used in Rx of
1. Myasthenia gravis
2. Malaria
3. PAN
4. Hemophilia

Correct answer: 1. Myasthenia gravis

Explanation: IMMUNOLOGICAL TREATMENT OF MYASTHENIA GRAVIS Ref - Davidsons 23e p1142